All of the following statements regarding prevalence are true except
1. It is proportion
2. Duration of disease effects prevalence
3. Numerator is a part of denominator
4. It is rate

Correct answer: 4. It is rate

Explanation: Prevalence is a proportion with numerator being a part of denominator.
Prevalence refers specifically to all current cases (old and new) existing at a given point in time, or over a period of time in a given population.